Most common causative organism of acute suppurative parotitis:
1. Staphylococcus aureus.
2. Streptococcus pyogens.
3. Corynebacterium.
4. None

Correct answer: 1. Staphylococcus aureus.